Most common cause of delayed puberty in males is
1. Kallaman syndrome
2. Klienfelter syndrome
3. Constitutional
4. Prader-willi syndrome

Correct answer: 3. Constitutional

Explanation: Constitutional delay in growth and puberty is the most common cause of delayed puberty in boys.These boys have growth retardation and delayed bone age.Family history of delayed puberty is present.Gonadotropin levels are prepubertal similar to hypgonadotropic hypogonadism. Reference : OP Ghai ,eseential paediatrics 8 th edition, page no 538 .